All are branches of lumbar plexus except?
1. Iliohypogastric nerve
2. Ilioinguinal nerve
3. Obturator nerve
4. Subcostal nerve

Correct answer: 4. Subcostal nerve

Explanation: Ans. is 'd' i.e., Subcostal nerve